A 40 year old male presents with a painless cystic liver enlargement of four years duration without fever or jaundice. The most likely diagnosis is
1. Amoebic liver abscess
2. Hepatoma
3. Hydatid cyst of liver
4. Choledochal cyst

Correct answer: 3. Hydatid cyst of liver

Explanation: Clinical features of hydatid disease Equally common in males and females, age 45 years Most(75%) are singular, located in right liver Mostly asymptomatic until complications occur Most common presenting symptoms - abdominal pain, dyspepsia and vomiting Most common sign- Hepatomegaly Ref:Sabiston 20th edition Pgno :1452